All of the following are used in a PCR reaction, EXCEPT
1. Buffer
2. ddNTPs
3. Oligonucleotide Primer pair
4. Template DNA

Correct answer: 2. ddNTPs

Explanation: Components of PCR 1. Template DNA 2. Pair of DNA Primers 3. Thermostable DNA polymerase 4. dNTPs 5. Buffer with divalent cation ddNTP (dideoxynucleotide triphosphates) Not used in PCR; Used in sanger's chain-termination method